Kaposi sarcoma is commonly seen in ?
1. Upper limbs
2. Lower limbs
3. Head and Neck
4. Trunk

Correct answer: 2. Lower limbs

Explanation: " It occurs predominantly on the skin and can involve virtually any organ, perhaps except the brain. The initially described form, now known as classic KS, predominantly involves the lower extremities of elderly men. KS is now the most common tumor seen in HIV-infected patients Ref : Bailey and love surgery text book 27th Ed.